Which component of the eye has maximum refreactive index:
1. Anterior surface of the lens
2. Posterior surface of the lens
3. Centre of the lens
4. Cornea

Correct answer: 3. Centre of the lens

Explanation: Centre of the lens [Ref: Parson 20/e p52, 53, and 59J Repeat. from May10